Professional death sentence is:
1. Imprisonment for life
2. Rigorous imprisonment
3. Erasing of name from the medical register
4. Death by hanging

Correct answer: 3. Erasing of name from the medical register

Explanation: Ans. Erasing of name from the medical register